Residual volume of lung is defined as:
1. Additional volume of air that can be inspired forcefully after the end of normal inspiration
2. Volume of air breathed out of lungs in a single normal quiet respiration
3. Additional volume of air that can be expired forcefully after normal expiration
4. Volume of air remaining in lungs even after forced expiration

Correct answer: 4. Volume of air remaining in lungs even after forced expiration

Explanation: Ans. D i.e. Volume of air remaining in lungs even after forced expiration